Treatment of Phylenticular conjunctivitis is:
1. Steroids
2. Antibiotics
3. Miotics
4. Mydriatics

Correct answer: 1. Steroids

Explanation: Steroids